All are examples of point mutation, except
1. Silent mutation
2. Frame-shift mutation
3. Missense mutation
4. Nonsense mutation

Correct answer: 2. Frame-shift mutation

Explanation: A frameshift mutation is a genetic mutation caused by a deletion or insertion in a DNA sequence that shifts the way the sequence is read. A DNA sequence is a chain of many smaller molecules called nucleotides Ref-Harpers illustrated biochemistry 30/e p658